Which of the following is not true about
hashimoto’s thyroiditis?
1. More common in females
2. HLA B8 association
3. Presents after 6-8 weeks of upper respiratory tract infection
4. Can lead to thyroid lymphoma

Correct answer: 3. Presents after 6-8 weeks of upper respiratory tract infection

Explanation: Viral thyroiditis presents 4 to 6 weeks after upper respiratory tract infection.